Normal thickness of hybrid layer is:
1. 0.1-5 micron
2. 2-3 micron
3. 0.5-2 micron
4. 5-10 micron

Correct answer: 1. 0.1-5 micron